For hiatus hernia, investigation of choice is
1. Barium meal follow through
2. Barium meal upper GI
3. Barium meal upper GI in Trendelenberg position
4. Barium meal double contrast

Correct answer: 3. Barium meal upper GI in Trendelenberg position

Explanation: Barium swallow and meal examination give the best appreciation of gastro-oesophageal anatomy. The patient is in the Trendelenburg position to demonstrate barium in the fundus.Bailey and Love 26th edition Pg: 1015